In adducted eye, action of superior oblique muscle of the eye is
1. Elevation of the eyeball
2. Depression of the eyeball
3. Intortion of the eyeball
4. Extortion of the eyeball

Correct answer: 2. Depression of the eyeball

Explanation: Ans. b (Depression of the eye ball) (Ref. Ganong Physiology 21st ed., Fig. 8-30; Chapter 8)EYE MOVEMENTS# Since the oblique muscles pull medially, their actions vary with the position of the eye. When the eye is turned nasally, the inferior oblique elevates it and the superior oblique depresses it. When it is turned laterally, the superior rectus elevates it and the inferior rectus depresses it.# Extraocular muscles subserving the six cardinal positions of gaze. The eye is adducted by the medial rectus and abducted by the lateral rectus. The adducted eye is elevated by the inferior oblique and depressed by the superior oblique; the abducted eye is elevated by the superior rectus and depressed by the inferior rectus. EO muscleNerve supplyPrimary actionSecondary actionTertiary actionMedial rectusCN IIIAdduction----Superior rectusCN IIIElevationIntortionAdductionInferior rectusCN IIIDepressionExtortionAdductionInferior obliqueCN IIIExtorsionElevationAbductionSuperior obliqueCN IVIntorsionDepressionAbductionLateral rectusCN VIAbduction----Extraocular muscles subserving the six cardinal positions of gaze:# The eye is adducted by the medial rectus and abducted by the lateral rectus.# The adducted eye is elevated by the inferior oblique and depressed by the superior oblique.# The abducted eye is elevated by the superior rectus and depressed by the inferior rectus.